A Malnourished child from a poor scioceonomic status, residing in overcrowded and dirty areas presents with a nodule around the limbus with hyperemia of surrounding conjunctiva in his left eye. He is also observed to have axillary and cervical lymphadenopahty. Which of the following is the most likely diagnosis?
1. Phlyctenular conjunctivitis
2. Foreign body granuloma
3. Vernal keratoconjunctivitis
4. Episcleritis

Correct answer: 1. Phlyctenular conjunctivitis

Explanation: Ans. (a) Phlyctenular conjunctivitisRef: Yanoff 3/e, p. 239; Parson's 21/e, p. 179.Presence of a nodule around the limbus with hyperaemia of surrounding conjunctiva in a child with risk factors for tuberculosis suggests a diagnosis of phlyctenular conjunctivitis.Malnutrition, poor, socioeconomic status (poverty), overcrowded and dirty surroundings and axillary/cervical lymphadenoathy are all pointers to a high risk of tuberculosis.